Reversed cold chain is used for:
1. Transportation of vaccines back from vaccination center to hospital
2. Transportation of vaccine from hospital to vaccination center
3. A system of storing and transporting samples at recommended temperatures from the point of collection to the laboratory
4. Transporting oral polio vaccine only

Correct answer: 3. A system of storing and transporting samples at recommended temperatures from the point of collection to the laboratory

Explanation: Ans. C: A system of storing and transporting samples at recommended temperatures from the point of collection to the laboratory The 'cold chain' is a system of storing and transporting the vaccines at recommended temperatures from the point of manufacture to the point of use. There is also a concept called 'reverse cold chain', which is a system of storing and transporting samples at recommended temperatures from the point of collection to the laboratory. The role of the cold chain is to maintain the potency of vaccines.